Enzymatic markers of plasma membrane include all except
1. 5'-nucleotidase
2. Adenylyl cyclase
3. Na+-K+-ATPase
4. Galactosyl transferase

Correct answer: 4. Galactosyl transferase

Explanation: Markers of Plasma membrane - 5-Nucleotidase, Adenylyl cyclase, Na+K+ ATPase
Marker of Endoplasmic reticulum - Glucose-6-phosphatase
Markers of Golgi apparatus - GlcNAc transferase I, Golgi mannosidase II, Galactosyl transferase, Sialyltransferase
Marker of Mitochondria - ATP synthase, Glutamate dehydrogenase
Marker of Peroxisome - Catalase.
Marker of Cytosol - LDH.